Tannic acid acts as:
1. Astringent
2. Keratolytic
3. Demulscent
4. Antiseptic

Correct answer: 1. Astringent